Term 'Catatonia' was used by
1. Karl kahlbaum
2. Adolf Meyer
3. Leo Kanner
4. Karen Horney

Correct answer: 1. Karl kahlbaum

Explanation: Contributor: Kahlbaum, Karl (1828-1899) Coined the Term: Catatonia, Symptom complex, Cyclothymia Ref: A Short Textbook of Psychiatry, Niraj Ahuja, 7th Edition, pg. no.244